All of the following statements are true about development dysplasia (DDH) of the hip, EXCEPT:
1. It is more common in females
2. Oligohydramnios is associated with a higher risk of DDH
3. The hourglass appearance of the capsule may prevent a successful closed reduction
4. Twin pregnancy is a known risk factor

Correct answer: 4. Twin pregnancy is a known risk factor

Explanation: Twin pregnancy has not been mentioned as a risk factor for developmental dysplasia of hip. All other statements in relation to DDH are true. Ref: Tochdjian's Paediatric Orthopaedics, 3rdd Edtion, Pages 514, 516, 520.